Which of the following is spread from animals to man -
1. T. rubrum
2. T. tonsurans
3. T. floccosum
4. T. verrucosum

Correct answer: 4. T. verrucosum

Explanation: T. verrucosum is a zoophilic species . The dermatophytes on the basis of their natural habitat and host preferences can be classified into following groups: (i) Anthropophilic species: These dermatophytes are typically adapted to live on human host. They are transmitted from human to human through fallen hairs, desquamated epithelium, combs, hair brushes, towels, etc. Examples: T. rubrum, T. mentagrophytes ,T. schoenleinii, T. tonsurans and T. violaceum, M. audouinii ,E. floccosum. (ii) Zoophilic species: These are the dermatophytes that live on animals and often cause infection in their animal host. These zoophilic species are transmitted from infected animals to humans by direct and indirect contacts with domestic animals (e.g., cat and dog) and occasionally wild animals. Examples: T. equinum T. verrucosum M. canis, M. equinum. (iii) Geophilic species: These are saprophytic fungi found in soil or in dead organic substances. They occasionally cause infection in humans and animals. Examples are Microsporum gypseum, E. stockdaleae and Trichophyton ajelloi.